Pathology in achalasia cardia is in?
1. Excitatory neurons
2. Inhibitory neurons
3. Muscles
4. Neuromuscular junction

Correct answer: 2. Inhibitory neurons

Explanation: Answer-B. Inhibitory neuronsIt is due to dysfunction of inhibitory neurons containing nitric oxide and vasoactive intestinal polypeptide in the distal esophagus. The cholinergic innervation ofthe LES is intact or affected only in the advanced stage.There is neurogenic degeneration either idiopathic or due to infection.